Which is true statement about Anterior Pituitary Hormones?
1. Secretion of anterior pituitary hormones is pulsatile
2. No hormones are secreted before 28 weeks of gestation except prolactin
3. Most of the pituitary hormones are secreted by the posterior lobe
4. The hypophyseal portal veins are associated with the posterior lobe of the pituitary gland.

Correct answer: 1. Secretion of anterior pituitary hormones is pulsatile

Explanation: (A) Secretion of anterior pituitary hormones is pulsatile # Secretion of anterior & posterior pituitary hormones, adrenal glucocorticoids, mineralocorticoids and catecholamines, gonadal sex steroids, parathormone, insulin and glucagon is pulsatile (burst-like or episodic).> Neuronal inputs, cellular excitability and feedback with time delays constitute proximate mechanisms driving recurrent pulses.> Both the amplitude and frequency of gonadotropin, thyrotropin, prolactin and sex-steroid pulses determine their mean concentrations.> In contradistinction, primarily the amplitude of growth hormone, adrenocorticotropin, cortisol, parathormone and insulin pulses controls their average values.> Gonadotropin-releasing hormone and growth-hormone pulses convey unique signaling information to target tissues.